Tetany is characterised by:
1. Hypotonicity of muscles
2. Hypertonicity of muscles
3. Increased serum calcium concentration
4. None of above

Correct answer: 2. Hypertonicity of muscles